Cu deficiency manfest as -
1. Anaemia
2. Cardiomyopathy
3. Hepatomegaly
4. Hypothyroidism

Correct answer: 1. Anaemia

Explanation: *Deficiency of copper causes microcytic hypochromic anaemia, neutropenia,retoed growth,dermatosis. The characteristic hematological (blood) effects of copper deficiency are anemia (which may be microcytic, normocytic or macrocytic) and neutropenia. Thrombocytopenia (low blood platelets) is unusual. The peripheral blood and bone marrow aspirate findings in copper deficiency can mimic myelodysplastic syndrome Ref Harrison 20th edition pg 99e